Duration of action of flumazenil is:
1. 5 minute
2. 10 minute
3. 20 minute
4. 1-2 hours

Correct answer: 4. 1-2 hours

Explanation: Flumazenil is absorbed orally ;oral bioavailability is ~16% but its not used orally .On I.v .injection ,action of flumazenil starts in seconds &last for 1-2 hours ;elimination t1/2 is 1 hour due to rapid metabolism. REF: KD Tripathi 8th ed.